Cataplexy is characterized by?
1. Hypnopompic hallucinations
2. Nocturnal penile tumescence
3. Decreased muscle tone
4. Somnambulism

Correct answer: 3. Decreased muscle tone

Explanation: Ans. is 'c' i.e., Decreased muscle tone * Cataplexy is the most common accessory symptom of Narcolepsy and is characterized by sudden decrease in muscle tone, either, local or generalized.